Which of the following is accurate regarding Meckel diverticulum?
1. Is the allantoic duct remnant
2. Is a failure of the right umbilical vein to involute
3. Is an extraabdominal remnant of the umbilical vesicle
4. Is a failure of the intraabdominal portion of the umbilical vesicle to atrophy

Correct answer: 4. Is a failure of the intraabdominal portion of the umbilical vesicle to atrophy

Explanation: The omphalomesenteric (vitelline) duct is a remnant of the embryonic yolk sac. When the entire duct remains intact postnatally, it is recognized as an omphalomesenteric fistula. When the duct is obliterated at the intestinal end but communicates with the umbilicus at the distal end, it is called an umbilical sinus. When the epithelial tract persists but both ends are occluded, an umbilical cyst or intra-abdominal enterocystoma may develop. The entire tract may be obliterated, but a fibrous band may persist between the ileum and the umbilicus The most common remnant of the omphalomesenteric (vitelline) duct is Meckel diverticulum, which is present in 1-3% of the population. Meckel diverticulum may be lined wholly or in part by small intestinal, colonic, or gastric mucosa, and it may contain aberrant pancreatic tissue. Heterotopic tissue is found in 5% of asymptomatic and 60% of symptomatic cases. In contrast to duplications and pseudodiverticula, Meckel diverticulum is located on the antimesenteric border of the ileum, 10-90 cm from the ileocecal valve. Meckel diverticulum occurs with equal frequency in both sexes.